Episiotomy posteriorly beyond perineal body injuring the structure immediately posterior to it Which structure is injured
1. External and sphincter
2. Ischiocavernosus
3. Bulbospongiosus
4. urethral sphincter

Correct answer: 1. External and sphincter

Explanation: ref : DUTTA BOOK 9TH ED